BCYE medium is used to culture -
1. Mycoplasma
2. T. pallidum
3. H.pylori
4. Legionella

Correct answer: 4. Legionella